A 57-year-old man with MI is admitted in cardiac emergency. Which of the following drug might cause unexpected results based on CYP2C19 genotype of patient?
1. Prasugrel
2. Clopidogrel
3. Warfarin
4. Ticagrelor

Correct answer: 2. Clopidogrel

Explanation: CYP 2C19 shows pharmacogenetic variations. Some people are poor metabolizers and others extensive metabolizers Clopidogrel, a platelet inhibitor, is a prodrug that is metabolized by CYP2C19 to active form. Poor metabolizers cause inadequate platelet inhibition, Extensive metabolizers may result in bleeding. Prasugrel, warfarin and ticagrelor do not require CYP 2C19 activation.